Lovset's maneuver is done for -
1. Extended arm
2. Frank breech extraction
3. Delivery of after coming head of breech
4. Impacted breech

Correct answer: 1. Extended arm

Explanation: Ans. is 'a' i.e., Extended arm.o Delivery of the extended arm is accomplished by adopting any of the following methods:a) Classicalb) LovsetLovset's maneuvero Principle : Because of the curved birth canal, when the anterior shoulder remains above the symphysis pubis, the posterior shoulder will be below the sacral promontory. If the fetal trunk is rotated keeping the back anterior and maintaining a downward traction, the posterior shoulder will appear below the symphysis pubis.About other optionso Impacted breech : Inspite of good uterine contractions and complete dilatation of the cervix, the breech fails to descend. This occurs only in extended breech and is usually due to disproportiono Impaction can occur at the inlet, cavity or outlet. If within 30 minutes of full dilatation, the breech does not descend and distend the perineum, caesarean section is done regardless of the level of impaction.Frank Breech Extraction (Pinard's maneuver)o Is done by intrauterine manipulation (for breech decomposition) to convert a frank breech to a footling breech. This is possible when the membranes have ruptured recentlyo In Pinard's maneuver, the middle and index fingers are carried upto the popliteal fossa. It is then pressed and abducted so that the fetal leg is flexed. The fetal foot is grasped at the ankle and breech extraction is accomplished.Option 'c'o For delivery of the after coming head of breech, following maneuvers are used :# Bums marshall method# Forceps delivery# Malar flexion shoulder traction (modified Mauriceau - Smellie - Veit technique).